Amsel criteria does not include:
1. Thick, curdy white discharge
2. Clue cells
3. Whiff test positive
4. Vaginal pH >4.5

Correct answer: 1. Thick, curdy white discharge

Explanation: Amsel criteria include thin, white homogenous discharge not thick discharge.
Option b,c,d are included in Amsel criteria.
3 out of 4 should be present to diagnose it as Bacterial vaginosis.